Which one of the following is not a feature of liver histology in Non cirrhotic portal fibrosis (NCPF) ?
1. Fibrosis in and around the portal tracts
2. Thrombosis of the medium and small portal vein branches
3. Non specific inflammatory cell infiltrates in the portal tracts
4. Bridging fibrosis

Correct answer: 4. Bridging fibrosis

Explanation: Ans. is 'd' i.e., Bridging fibrosisFibrosis bridging one portal tract to another (bridging fibrosis) is not seen.Pathology : o Non cirrhotic portal fibrosis is primarily a vascular disorder of the liver characterized by fibrous intimal thichening of the portal vein or its branches in patients with non cirrhotic protal hypertension.Vascular changesHallmark of the disease is thrombosis/sclerosis of the portal vein branches.The portal vein is dilated with sclerosis of the walls and in autopsy thrombin in medium or small portal vein branches with accompanying areas of ischaemic necrosis have been reported.Aberrant Intrahepatic vessels may be present in the periportal area, which correspond to dilated terminal portal vein branches or venules. These are often termed as "megasinusuoids" or periportal angiomatosis. FibrosisVascular changes are accompanied by portal and periportal fibrosis of varying extent.